Which of the following represents the most charachteristic function of Type II Restriction Enzyme
1. Prevent folding of proteins
2. Remove formed DNA
3. Prevent supercoiling
4. Cut DNA at palindromic sites

Correct answer: 4. Cut DNA at palindromic sites

Explanation: D i.e. Cut DNA at palindromic sites